MC valve involved in Rheumatic fever ?
1. Mitral
2. Aortic
3. Pulmonary
4. Tricuspid

Correct answer: 1. Mitral

Explanation: Ans. is 'a' i.e., Mitral Mitral valve is involved most commonly. o RHD is the most common cause of mitral stenosis.